A female presents with the history of slashed wrists and attempted suicide, now presents with similar history. The diagosis is:
1. Borderline personality
2. OCD
3. Conversion Reaction
4. Histirionic Personality

Correct answer: 1. Borderline personality

Explanation: A i.e. Borderline personality disorderCharacteristic feature of Borderline P.D. is series of suicidal threats or acts or self harmQAlways remember h/o multiple suicidal attempts may be present in histrionic P.D. but it is for becoming centre of attraction and for receiving sympathyQIn Borderline P.D. there is:Instability of a) interpersonal relationshipQ; b) self image and; c) mood (affect/feeling) Impulsivity that are potentially self damaging (ex- sex, spending, reckless driving or binge eating) Recurrent suicidal threats, attempts or gestureQ or self mutilating behaviourInappropriate, intense angerFrantic efforts to avoid real or imagined abandonment.